Post dural puncture headache, true about ?
1. Common in elderly
2. Small bore needle prevents it
3. Early ambulation increases incidence
4. All

Correct answer: 2. Small bore needle prevents it

Explanation: B i.e. (Small bore needle prevents it)